All of the following are associated with pulmonary eosinophillic pneumonia, Except:
1. ABPA
2. Loeffler's pneumonia
3. Churg Strauss Syndrome
4. Wegener's granulomatosis

Correct answer: 4. Wegener's granulomatosis

Explanation: Answer is D (Wegener's granulomatosis) Pulmonary Eosinophilia Extrinsic eosinophilic syndromes: Loeffler syndrome DRESS syndrome: The Drug Rash with Eosinophilia and Systemic Symptoms (DRESS) syndrome Parasitic infections Schistosomiasis TPE: Tropical Pulmonary Eosinophilia. Bronchocentric granulomatosis Fungal causes: Allergic bronchopulmonary aspergillosis (ABPA) Strongyloidiasis Intrinsic pulmonary eosinophilic syndromes: Chronic eosinophilic pneumonia Idiopathic hypereosinophilic syndrome Churg-Strauss syndrome Eosinophilic granuloma (pulmonary histiocytosis X or Langerhans cell granulomatosis).